Rogue is used to
1. Prevent flow of solder to unwanted areas
2. Covers the metal surface and prevents access to oxygen so that no oxide can form
3. Reduces any oxides present and exposes clean metal.
4. Dissolves any oxides present and carries them a) away.

Correct answer: 1. Prevent flow of solder to unwanted areas